Secretory phase of endometrium is due to which hormone?
1. Estrogen
2. Progesterone
3. Prolactin
4. Pregnenediol

Correct answer: 2. Progesterone

Explanation: Ref: Guyton, 12th edition, Page 995 and Essentials of Medical Physiology By Khurana, Page 509Explanation:PHASES OF ENDOMETRIAL CYCLEThe endometrial cycle of 28 days can be divided into three phases:o Menstrual Phase (1-5 days)o Proliferative Phase (6-14 days)o Secretory Phase (15-28 days).(See table on the next page)